Maximum plasma protein bound drug is ?
1. NTG
2. Verapamil
3. Aspirin
4. GTN

Correct answer: 2. Verapamil

Explanation: Ans. is 'b' i.e., Verapamil